Most common part of larynx involved in TB ?
1. Anterior
2. Posterior
3. Middle
4. Anywhere

Correct answer: 2. Posterior

Explanation: Ans. is 'b' i.e., Posterior Essential otolaryngology 2"d/e p. 1139] Disease affects the posterior third of larynx more commonly than anterior part. The parts affected in descending order of frequency are :- i) Interarytenoid fold, ii) Ventricular band, iii) Vocal cords, iv) Epiglottis.